Amyloid pressure protein is cleaved by ______ and ________ in Alzheimer's disease
1. α secretase , γ  secretase
2. α secretase ,  β secretase
3. β secretase ,  γ secretase
4. β secretase , α  secretase

Correct answer: 3. β secretase ,  γ secretase

Explanation: Amyloid precersor protein(APP) is normaly cleaved by α and  β secretases.
In Alzeihmer's disease it is cleaved by  β and γ secretases and forms AB peptide that deposit to form senile plaques.